A one-year-old child presented with multiple fractures seen in various stages of healing. The most probable diagnosis in this case is –
1. Scurvy
2. Rickets
3. Battered baby syndrome
4. Sickle cell disease

Correct answer: 3. Battered baby syndrome

Explanation: Multiple fractures at different sites and of different ages suggest the diagnosis of Battered baby syndrome.
Battered baby syndrome - should be considered in any child in whom degree and type of injury are at variance with the history given.
When injuries of different ages and in different stages of healing are found.
When there is a purposeful delay in seeking medical attention despite serious injuries.
Who exhibits evidence of fracture of any bone, subdural hematoma, failure to thrive, soft tissue swelling or skin bruising.